Most characteristic finding of diabetic nephropathy?
1. Kimmelstein Wilson disease
2. Diffuse glomerulosclerosis
3. Focal segmental glomerulosclerosis
4. Armani Ebstein change

Correct answer: 1. Kimmelstein Wilson disease

Explanation: Diabetic Nephropathy Three lesions are encountered: (1) glomerular lesions; (2) renal vascular lesions, principally arteriolosclerosis; and (3) pyelonephritis, including necrotizing papillitis. The most important glomerular lesions are capillary basement membrane thickening, diffuse mesangial sclerosis, and Nodular glomerulosclerosis. Capillary Basement Membrane Thickening. Widespread thickening of the glomerular capillary basement membrane (GBM) occurs in virtually all cases of diabetic nephropathy and is part and parcel of the diabetic microangiopathy Diffuse Mesangial Sclerosis. This lesion consists of diffuse increase in mesangial matrix. Nodular Glomerulosclerosis. This is also known as intercapillary glomerulosclerosis or Kimmelstiel-Wilson disease. It is the Most characteristic finding of Diabetic Nephropathy.